Claviceps fusiformis is active ingredient in which of the following toxins?
1. Aflatoxin
2. Sanguinarine
3. Pyrazolidone
4. Ergot alkaloid

Correct answer: 4. Ergot alkaloid

Explanation: Ans. d (Ergot alkaloid) (Ref. Text book of PSM by Park 22nd/ 610)Ergot is not a storage fungus, but a field fungus, e.g., Claviceps fusiformis. Symptoms are acute but rarely fatal and include nausea, repeated vomiting, giddiness and drowsiness extending peripheral gangrene due to vasoconstriction of capillaries. Ergot-infested grains can be easily removed by floating them in 20% salt water. | |||||AflatoxinMixing of mustard oil with argemione oilKhesari dal[Lathyrus sativas)Millet panicum mili are with seeds of crotalariaErgot alkaloid|||||Aspergillus flavusSanguinarineBOAAPyrazolidaneClaviceps fusiformis||||(Ergot fungus)|||||HepatotoxicityEpidemic dropsyLathyrismHepatotoxic & endemic ascites.Ergotism